True statement regarding Telomerase is:
1. It is a reverse transcriptase
2. Active in somatic cells
3. Involved in translation
4. Helps in shortening of DNA

Correct answer: 1. It is a reverse transcriptase

Explanation: (Refer: Harper’s Illustrated Biochemistry, 27th edition, pg no: 326)